Which among the following is false regarding the need of chest radiograph in a patient of the acute abdomen –
1. Supine chest radiograph is the best radiograph for showing presence of a small pnetunoperitoneum
2. A number of chest conditions can present as acute abdominal condition
3. Acute abdominal condition may be complicated by the chest pathology
4. Even when the chest radiograph is normal it acts as a most valuable baseline

Correct answer: 1. Supine chest radiograph is the best radiograph for showing presence of a small pnetunoperitoneum

Explanation: For the acute abdomen, chest X-ray is essential because:-


For small pneumoperitoneum, chest x-ray in an upright position (erect) is best.
A number of chest conditions may present as an acute abdominal pain (e.g. lower lobe pneumonia, MI).
The acute abdominal condition may be complicated by chest pathology, e.g. pleural effusion frequently complicates acute pancreatitis.
Even when chest radiograph is normal it acts as a valuable baseline.